A divided pulp canal is most likely to occur in the
1. Root of a maxillary canine
2. Root of mandibular canine
3. Root of a maxillary central incisor
4. Lingual root of a maxillary first molar

Correct answer: 2. Root of mandibular canine